Man is the principal reservoir for which of the following enteric pathogen:
1. E. histolytica
2. Pseudomonas
3. Klebsiella
4. None of the above

Correct answer: 1. E. histolytica